Which of the following is the causative agent of Lyme's disease?
1. Borrelia burgdorferi
2. Borrelia recurrentis
3. Leptospira icterohaemorrhagiae
4. Clostridium difficile

Correct answer: 1. Borrelia burgdorferi

Explanation: Lymes disease is caused by Borrelia burgdorferi a spirochete. Mice and deer serve as the major reservoir of the organism. borrelia are long slender spirochetes containing multiple axial flagella. Borrelia recurrentis is known to cause relapsing fever. Leptospirosis is an acute and often severe treponemal infection that frequently affects the liver or other organs and is caused by the multiple serovars of Leptospira interrogans. Icteric leptospirosis or Weil syndrome is the most severe form of Leptospirosis. It is characterized by impaired kidney and liver function, abnormal mental status, hemorrhagic pneumonia, and hypotension. Ref: Philip S.S. (2013). Chapter 34. Spirochetal Infections. In M.A. Papadakis, S.J. McPhee, M.W. Rabow, T.G. Berger (Eds), CURRENT Medical Diagnosis & Treatment 2014.